Mechanism of action of Silodosin:
1. Alpha antagonist
2. Beta antagonist
3. Anticholinergic
4. PDE5 inhibitor

Correct answer: 1. Alpha antagonist

Explanation: MEDICAL THERAPY IN BPH * Alpha-blockers: (Prazosin, terazosin, doxazosin, tamsulosin, alfuzosin, silodosin) Relaxes smooth muscle & decreases urethral resistance. Side effects: orthostatic hypotension, dizziness, tiredness, retrograde ejaculation, rhinitis & headache. * 5-Alpha-reductase Inhibitors: (Finasteride, dutasteride, triptorelin pamoate)